All are characteristic of Nondepolarising Neuromuscular Blocker except-
1. Fade on Train of four stimulation
2. Tetanic Stimulation is followed by Post tetanic facilitation
3. Shows fasciculation
4. Reversed by Neostigmine

Correct answer: 3. Shows fasciculation

Explanation: Fasciculation is seen with depolarizing neuromuscular blocker since they have agonistic effect on nicotinic cholinergic receptor. Nondepolarising neuromuscular blockers are competitive antagonist. Succinylcholine was first synthesized by Bovet in 1949 and released in 1951. Suxamethonium or succinyl choline is a: Depolarizing muscle relaxant Shortest acting muscle relaxant Muscle relaxant of choice for rapid sequence intubation